Pyruvate can be a substrate for -
1. Fatty acid synthesis
2. TCA cycle
3. Cholesterol synthesis
4. All of the above

Correct answer: 4. All of the above

Explanation: Ans. is 'd' i.e. All of the abovePyruvateo It is a degradation product of glucose (glycolysis) and glycogenic amino acids. It can be converted to glucose (gluconeogenesis through oxaloacetate) and acetyl CoA (therefore all biosynthetic products which arise from acetyl CoA)